Gaint 'a' waves in JVP occur in all except
1. Junctional rhythm
2. Pulmonary hypertension
3. Tricuspid regurgitation
4. Complete heart block

Correct answer: 3. Tricuspid regurgitation

Explanation: Ref Harrison 19 th ed pg 1485 Tricuspid stenosis is associated with large or gaint 'a'waves. Not tricuspid regurgitation ..